Onion peel appearance of splenic capsule is seen in:
1. SLE
2. Scleroderma
3. RA
4. Sjogrens

Correct answer: 1. SLE

Explanation: SLE